Vorapaxar acts by inhibiting
1. GPIIa / IIIb
2. P2Y12 receptor
3. PAR - 1
4. Antithrombin - 3

Correct answer: 3. PAR - 1

Explanation: Vorapaxar inhibits Protease Activated Receptor 1 (PAR1) which is a thrombin receptor and thus can be used as a antiplatelet drug in M.I